Which of the following is false about CT?
1. Imaging modality of first choice for suspected acute subarachnoid hemorrhage.
2. Best for diagnosing Soft tissue pathology
3. Investigation of choice for skull trauma
4. Calcification is better visualized on CT than on MRI

Correct answer: 2. Best for diagnosing Soft tissue pathology

Explanation: CT imaging of acute head trauma is performed to detect treatable lesions before secondary neurologic damage occurs. CT is highly accurate for the detection of acute intra and extra-axial hemorrhage, as well as skull, temporal bone, facial, and orbital fractures.CT is considered the gold standard for detecting calcification. In MRI, calcification appears with various signal intensities on conventional spin echo (SE) T1 or T2 weighted images, which makes it difficult to identify definitively as calcium.